Farber’s disease is caused due to
1. Alpha Galactosidase
2. Ceramidase
3. Debranching enzyme
4. None of the above

Correct answer: 2. Ceramidase